Mucocutaneous Leishmaniasis is caused by
1. L. Brasiliensis
2. L. tropica
3. L. donovani
4. L. Chagasi

Correct answer: 1. L. Brasiliensis

Explanation: L. Brasiliensis causes Espundia (Mucocutaneous Leishmaniasis).